WHO defines adolescent age between :
1. 10-19 years of age
2. 10-14 years of age
3. 10-25 years of age
4. 9-14 years of age

Correct answer: 1. 10-19 years of age

Explanation: WHO / UN Definitions: Adolescent age = 10-19years Youth - 15-24 years Young people - 10-24 years Ref: Ghai Essential Pediatrics By O. P. Ghai, Piyush Gupta, V. K. Paul, 6th Edition, Page 66; Cambridge Handbook of Psychology, Health and Medicine By Susan Ayers, Andrew Baum, Chris McManus, 2007, Page 5